Smoking is a risk factor for all cancer except:
1. Esophagus
2. Urinary bladder
3. Pancreas
4. Gallbladder

Correct answer: 4. Gallbladder

Explanation: Smoking is not the risk factor for carcinoma gallbladder. Smoking is the risk factor for all gastrointestinal tract malignancies and hepatobiliary pancreatic tract malignancies except carcinoma gallbladder.